Following are the properties of Biguanides, EXCEPT:
1. Decrease hepatic gluconeogenesis
2. Not contraindicated in renal dysfunction
3. Can be used along with sulfonylureas
4. Don't stimulate insulin Release

Correct answer: 2. Not contraindicated in renal dysfunction

Explanation: Biguanides are contraindicated in patients with renal failure, congestive heart failure, alcoholism and hepatic diseases. Ref: Richard Finkel, Michelle Alexia Clark, Pamela C. Champe, Luigi X. Cubeddu (2009), Pharmacology, 4th Edition, Lippincott Williams and Wilkins Publications, United States Page 292